The drug acamprosate is therapeutically used for:
1. Cough
2. Rickets
3. Thrombolysis
4. Maintenance therapy of alcohol abstinence

Correct answer: 4. Maintenance therapy of alcohol abstinence